A 14 year boy presented with unilateral nasal blockade, mass in the cheek and epistaxis. What is the likely diagnosis?
1. Nasopharyngeal Ca
2. Inverted papilloma
3. Angiofibroma
4. Thrombocytopenia

Correct answer: 3. Angiofibroma

Explanation: Ans. C Angiofibroma Commonest benign tumors of nasopharynx Common in always a young boy (10-20 years) age Profuse and recurrent episi staxis is the most common presentation Progressive nasal obstruction and de nasal speech Conductive hearing loss and serous otitis media Mass in the nasopharynx - sessile, lobulated or smooth and obstructs one or both choana pink or purplish in colour. Consistency is firm but digital palpation should nerve be done until at the time of operation Other clinical features - like broadening of nasal bridge, proptosis, swelling of cheek, infratemporal fossa or involvement of II, III, IV, VI, cranial nerve depend on the extent of tumor. a. Biopsy is avoided b. Investigation of choice - CT scan with enhancement c. Surgical excision is now the treatment of choice